Three years back a woman suffered during an earthquake and she was successfully saved. After recovery, she has nightmares about the episode and she also gets up in the night and feels terrified. The most probable diagnosis is -
1. Major depression
2. Post-traumatic stress disorder
3. Mania
4. Schizophrenia

Correct answer: 2. Post-traumatic stress disorder

Explanation: Similar to previous question, nightmares about the episode (intrusion of thoughts about event) after a life threatening event (earthquake) suggest the diagnosis of PTSD.